Which is the most common site for Ca larynx?
1. Suprahyoid epiglottis
2. Infrahyoid epiglottis
3. Glottis
4. Subglottis

Correct answer: 3. Glottis

Explanation: Ans. is 'c' i.e., Glottis * Incidence of larynx cancer by site:-# Supraglottic cancer - 40%# Glottic cancer - 9% (most common site)# Subglottic cancer - 1% (least common site)